The most potent stimulator of native T-cell is:
1. Follicular dendrite cells
2. Mature dendrite cells
3. Epithelial cells
4. Macrophage

Correct answer: 2. Mature dendrite cells